Sec 299 IPC deals with
1. Assault
2. Culpable homicide
3. Murder
4. Grievous hurt

Correct answer: 2. Culpable homicide

Explanation: Culpable homocide ( section 299 IPC) whoever causes death by doing an act, with the intention of causing death or with the intention for causing such bodily injury as likely to cause death, or cause death, commits the offence of culpable homicide Ref: FORENSIC MEDICINE AND TOXICOLOGY Dr PC IGNATIUS THIRD EDITION PAGE 216